A 26-year-old male power lifter visits the outpatient clinic with a painful shoulder. Radiographic examination reveals tendinopathy of the long head of the biceps. Which of the following conditions will most likely be present during physical examination?
1. Pain is felt in the anterior shoulder during forced contraction.
2. Pain is felt in the lateral shoulder during forced contraction.
3. Pain is felt during abduction and flexion of the shoulder joint.
4. Pain is felt during extension and adduction of the shoulder joint.

Correct answer: 1. Pain is felt in the anterior shoulder during forced contraction.

Explanation: The long head of the biceps assists in shoulder flexion and during a tendinopathy would cause pain in the anterior compartment of the shoulder, where it originates at the supraglenoid tubercle. Also, forced contraction would cause more of a greater tension force on the tendon.